A two year child is classified as having pneumonia, if the respiratory rate is more than
1. 30/min
2. 40/min
3. 50/min
4. 60/min

Correct answer: 2. 40/min

Explanation: According to ARI control programme pneumonia must have Respiratory rate(RR)/min 60 or more in <2 months of age 50 or more in 2 -12 months of age 40 or more in 1-5 years of age Ref : ESSENTIAL PEDIATRICS,O.P.GHAI,7 th edition PG NO:356